Variola virus is ?
1. Orthopox
2. Parapox
3. Copripox
4. Suipox

Correct answer: 1. Orthopox

Explanation: Ans. is 'a' i.e., Orthopox Poxviridae has been classified into two subfamilies -Chordopoxvirinae : Poxviruses of vertebrates.Entomopoxvirinae : Poxviruses of insects which do not infect vertebrates.Chordopoxvirinae are classified into six genera or subgroups -Orthopoxvirus : These are mammalian poxviruses that tend to cause generalized infection with rash. Exmples are variola (smallpox virus), vaccinia, cowpox, monnkeypox, rabbitpox, buffalopox, camelpox, mousepox.Parapoxvirus : Viruses of ungulates that may occasionally infact human, eg. Orf (contagious pustular dermatitis) and paravaccinia (milker's node, bovine pupular stomatitis).Copripoxvirus : Viruses of goat and sheeps, eg. sheep-pox, goatpox, lumpy skin disease.Leporipox virus : Viruses of of leporids (rabbits, hares, squirrels), e.g. myxoma and fibromas.Avipoxvirus : Virus of birds, eg. fowlpox, turkeypox, pigeonpox, canarypox.Suipoxvirus : Virus of swine, eg. swinepox.